Nutritional status of community is measured by all except
1. Anemia detection in pregnancy
2. Mid-arm circumference in 0-1 year age group
3. Child birth weight <2500 gms
4. Height and weight calculated in < 5 years age group

Correct answer: 2. Mid-arm circumference in 0-1 year age group